All of the following are TRUE about Hashimoto's Thyroiditis, EXCEPT:
1. Follicular Destruction
2. Increase in Lymphocytes
3. Oncocytic metaplasia
4. Orphan Annie eye nuclei

Correct answer: 4. Orphan Annie eye nuclei

Explanation: Orphan Annie eye nuclei is usually seen in papillary carcinoma of thyroid gland. Where as, Hashimoto's thyroiditis has Hurthle cells (oncocytic metaplasia). Ref: Ricardo V. Lloyd,(2010) , Chapter 9, "Pathology of Thyroid Gland", In the book, "Endocrine Pathology: Differential Diagnosis and Molecular Advances", 2nd Edition ; Robbin's Basic Pathology, 7th Edition, Pages 1169, 1178; Endocrine Pathology By Lioyd, (2004), Page 160